G-proteins act as:
1. Hormone carriers
2. Hormone receptors
3. Second messengers
4. Signal transducers

Correct answer: 4. Signal transducers

Explanation: Ans. D. Signal transducersG- proteins are signal transducers. Signaling event is terminated when the hormone is removed and the a-subunit inactivates itself by converting its bound GTP to GDP.